Subendothelial electron dense deposits within the glomerulus are seen -
1. MPGN type I
2. Crescentic glomerulonephritis
3. Dense deposit disease
4. IgA nephropathy

Correct answer: 1. MPGN type I

Explanation: Repeated Question.